In finger print reader (FINDER), prints of eight fingers are recorded excluding:
1. Thumb
2. Middle finger
3. Ring finger
4. Little finger

Correct answer: 4. Little finger

Explanation: Ans. (D). Little Finger[Ref: The essentials of Forensic medicine and toxicology, Dr. KS Narayana Reddy; 33rd edition, pg. no: 86Fingerprint reader (FINDER) is a computerized automatic fingerprint reading system which can record each fingerprint data in half second.Prints of eight fingers are recorded excluding little fingersQ.